Cajal cells are involved in-
1. Mesangial cell contraction in Kidney
2. Pacemaker activity in Heart
3. Pacemaker activity in GIT
4. Respiratory rhythm generation

Correct answer: 3. Pacemaker activity in GIT

Explanation: Ans. is 'c' i.e., Pacemaker activity in GIT * Pacemaker cells are called interstitial cells ofCajal.* Pacemaker cells (interstitial cells of Cajal) are stellate mesenchymal cells with smooth muscle like features. Pacemaker cells are absent in the esophagus and proximal stomach. In the distal stomach and small intestine they are located in outer circular muscle layer near myentric plexus. In the colon they are at the submucosal border of circular muscle layer. In stomach and small intestine, pacemaker frequency is in descending gradient and the pacemaker with highest frequency usually dominates (like heart).